Drug of choice for "Premenstrual Dysphoric Disorder" is:
1. Benzodiazepines
2. TCAs
3. Progesterone
4. SSRIs

Correct answer: 4. SSRIs

Explanation: SSRIs are considered as DOC for premenstrual dysphoric disorder Premenstrual dysphoric disorder (PMDD)Symptoms of mood lability, dysthymia, and anxiety occurring in the week preceding menses and minimal or absent in the week postmenses.